Most common employed sterilization technique ?
1. Pomeroys
2. Madlener
3. Irving
4. Uchida

Correct answer: 1. Pomeroys